Regarding Lichen planus all are true except –
1. Hypopigmentation in residual disease
2. Lymphatic infiltration in supradermal layer
3. Itchy, polygonal, purple, papule
4. Skin, Hair & oral mucosa commonly involved

Correct answer: 1. Hypopigmentation in residual disease

Explanation: Lesions of Lichen planus heal by leaving behind hyperpigmentation (not hypopigmentation).